Not true regarding Pectus excavatum?
1. Heart shifted towards left side
2. Features may suggest RML consolidation
3. Anterior ribs are more vertically oriented - 7 shaped ribs
4. Heart shifted towards right side.

Correct answer: 4. Heart shifted towards right side.

Explanation: Ans DIn pectus excavatum the heart is shifted towards left side. As right heart border goes behind the sternum it is obscured and can thus mimic right middle lobe disease.